The age changes in the pulp include
1. Decreased cellularity
2. Increase in fibers with bundle formation
3. Degeneration of nerves and calcifications
4. All of the above

Correct answer: 4. All of the above